Deep branch of ulnar nerve innervates
1. I and II lumbricals
2. Palmaris brevis
3. Dorsal interossei
4. Opponens pollicis

Correct answer: 3. Dorsal interossei

Explanation: There are twenty muscles in hands of which all are supplied by the ulnar nerve Except the following five muscles which are supplied by median nerve: 1 Abductor pollicis brevis 2. Flexor pollicis brevis (also often receives additional supply from the deep branch of ulnar nerve) 3. Opponens pollicis 4. First lumbrical 5. Second lumbrical Note: Palmaris Brevis is supplied by the superficial branch of the ulnar nerve. All interossei are supplied by the deep branch of ulnar nerve.